Child's criteria is used in Cirrhosis
1. Pancreatitis
2. Cirrhosis
3. Multiple myeloma
4. AIDS

Correct answer: 2. Cirrhosis

Explanation: Variables of CTP score Serum albumin Serum bilirubin Prothrombin time Ascites Encephalopathy Ref: Sabiston 20th edition Pgno : 1436